Nicoladoni sign is also known as
1. Branham sign
2. Murray sign
3. Frei's sign
4. Darrier's sign

Correct answer: 1. Branham sign

Explanation: In medicine, the Nicoladoni sign, also Branham sign and Nicoladoni-Israel-Branham sign, is the slowing of the heart rate in response to (manual) compression of an arteriovenous fistula. Robbins 9 th edition page no. 365 onwards